Flowcytometry of an AML patient showed CD41 and CD61 positivity, it belongs to which FAB classification?
1. M0
2. M3
3. M5
4. M7

Correct answer: 4. M7

Explanation: Acute megakaryoblastic leukaemia can often be diagnosed only by expression of the platelet-specific antigens CD41 and/or CD61.It is classified under the AML-M7 category of the FAB classificationRef: Harrison 19th edition pg: 678